Tonsillectomy is contraindicated in
1. Quinsy
2. Small atrophic tonsils
3. Poliomyelitis epidemic
4. Tonsillolith

Correct answer: 3. Poliomyelitis epidemic

Explanation: TONSILLECTOMY CONTRAINDICATIONS :- 1. Haemoglobin level less than 10g%. 2. Presence of acute infection in upper respiratory tract, even acute tonsillitis. Bleeding is more in the presence of acute infection. 3. Children under 3 years of age. They are poor surgical risks. 4. Overt or submucous cleft palate. 5. Bleeding disorders, e.g. leukaemia, purpura, aplastic anaemia or haemophilia. 6. At the time of epidemic of polio. 7. Uncontrolled systemic disease, e.g. diabetes, cardiac disease, hypertension or asthma. 8. Tonsillectomy is avoided during the period of menses. Ref:- Dhingra; pg num:-428